Becks triad is a feature of-
1. Constrictive pericarditis
2. Cardiac tamponade
3. Pulmonary embolism
4. Acute bronchial asthma

Correct answer: 2. Cardiac tamponade

Explanation: Ans. is 'b' i.e., Cardiac tamponade Cardiac Tamponade* The accumulation of fluid in the pericardial space in a quantity sufficient to cause serious obstruction to the inflow of blood to the ventricles results in cardiac tamponade.* The three most common causes of tamponade are neoplastic disease, idiopathic pericarditis, and renal failure.* Tamponade may also result from bleeding into the pericardial space after cardiac operations, trauma, and treatment of patients with acute pericarditis with anticoagulants.* The three principal features of tamponade (Beck's triad) are hypotension, soft or absent heart sounds, and jugular venous distention with a prominent x descent but an absent y descent.* There are both limitation of ventricular filling and reduction of cardiac output. The quantity of fluid necessary to produce this critical state may be as small as 200 mL when the fluid develops rapidly or >2000 mL in slowly developing effusions when the pericardium has had the opportunity to stretch and adapt to an increasing volume.